A 3 week old child presented to the pediatrician with meningitis. A presumptive diagnosis of late onset perinatal meningitis was made. The CSF culture was positive for gram positive bacilli. Which of the following characteristic of this bacteria would be helpful in differentiating it from other bacterial agents:-
1. Ability to grow on blood agar
2. Ability to produce catalase
3. Fermentative attack on sugars
4. Motility at 25 degree Celsius.

Correct answer: 4. Motility at 25 degree Celsius.

Explanation: L. monocytogenes is resposible for late onset perinatal meningitis. gram positive, non -spore forming rod tumbling motility at 22-28 degree Celsius but not at 37 degree Celsius- differentiates listeria from diphtheroids that are members of the normal microbiota of the skin.